Burrow is a characteristic feature of?
1. Tinea capitis
2. Scabies
3. Pediculosis
4. Leishmaniasis

Correct answer: 2. Scabies

Explanation: Ans. is 'b' i.e., Scabies * Burrow is the serpentine (S-shaped), thread like gray-brown line which represent the intraepidermal tunnel created by the moving female mite in stratum corneum. Burrow is pathognomic of scabies. Burrows are difficult to demonstrate in infants.Clinical features of scabies1. Severe itching is the most prominent symptom, and has following characteristic features: -a) Worse at nightb) Generalizedc) Affecting several family members2. In Scabies, severe itching typically worsen at night, most notably along the web spaces of fingers, wrists, elbows, axillae and groin area - Areas know as circle of Hebra.3. Papules and papulovesicles due to hypersensitivity to mite.4. Pustules can occur due to secondary infection.5. Excoriation and scratch marks.6. History of involvement of family memberArea of predilecton in scabies* Adults manifest lesions on following sites: -i) Web of fingers, Flexor surfaces of wrist, ulnar border of forearm, anterior axillary fold.ii) Umblicus and periumbilical regions (anterior abdomen).iii) Genitals (Scrotum and penis in males; and nipple & areola in females).iv) Upper thigh, lower part of buttocks.* Scalp, face, palm and soles are characteristically spared except in young children and infant - In Infants & young children scalp, face, palms & soles are typically involved.